All of the following drugs can be used for the management of malaria due to chloroquine resistant vivax except:-
1. Quinine
2. Doxycycline
3. Artesunate
4. Fluoroquinolones

Correct answer: 4. Fluoroquinolones

Explanation: Fluroquinolones are not used for malaria DOC for chloroquine resistant malaria is ACT. ACT of choice all over India (except north-east) is artesunate + sulfadoxine/pyrimethamine. ACT of choice for north east states is artemether + lumefantrine. Other ACT approved by WHO are: Artesunate + amodiaquine Artesunate + mefloquine Dihydroartemisinin + Piperaquine Quinine with doxycycline (or clindamycin) is alternative drug for chloroquine resistant malaria